Parasitic disease affecting intestine is -
1. Chagas disease
2. Malaria
3. Kala azar
4. Oriental sore

Correct answer: 1. Chagas disease

Explanation: Option 1 Trypanosoma Cruzi: In chronic stage infection, damage occurs to Auerbach's plexus leads to dilatation of various parts of alimentary canal, especially the colon and esophagus the mega(dilatation) disease. Option 2, 3 Malaria- Systemic manifestations Kala azar- Visceral leishmaniasia Option 4 Oriental Sore (Old-World Cutaneous Leishmaniasis): it is caused by L. tropica complex (L. tropica, L. aethopica, L. major).